All are vitamin K dependent clotting factors of hepatic origin except:
1. II
2. VII
3. VIII
4. X

Correct answer: 3. VIII

Explanation: C i.e. VIII